Which of the following drug for moderate-to-severe psoriasis inhibits both IL-12 and IL-23?
1. Alefacept
2. Efalizumab
3. Ustekinumab
4. Abatacept

Correct answer: 3. Ustekinumab

Explanation: Alefacept is anti CD-2 for psoriasisEfalizumab is anti CD-11a for psoriasisUstekinumab targets the p40 subunit of both IL-12 and IL-23 in psoriasisAbatacept is anti CD-80 and CD-86 for severe RA